Which of the following inhalational agent is contraindicated in a patient with history of epilepsy;
1. lsoflurance
2. Enflurane
3. Halothane
4. Sevoflurane

Correct answer: 2. Enflurane

Explanation: B i.e. Enflurane